According to EVINCE fast breathing in 5 mth child is defined as -
1. >30/min
2. 40
3. 50
4. 60

Correct answer: 3. 50

Explanation: Ans. is 'c' i.e., 50